Blistering in Bullous pemphigoid is because of antibodies against
1. BPAG2
2. BPAG1
3. Filaggerin
4. Keratin 5

Correct answer: 1. BPAG2